Dengue haemorrhagic fever is diagnosed by-
1. Acute onset of high fever, presence of petechiae, epistaxis and platelet count > 2 lakh
2. Acute onset of high fever, positive tourniquest test, epistaxis or malena and malena and platelet count > 1.5 lakh
3. Acute onset of high fever 2 to 7 days, associated with hemorrhagic manifestation e.g. hemoptysis and platelet count less than 1.5 lakh
4. Acute onset of high fever, positive tourniquet test, bleeding gum and platelet count less than 1.0 lakh

Correct answer: 4. Acute onset of high fever, positive tourniquet test, bleeding gum and platelet count less than 1.0 lakh